Demography studies about
1. Population Distribution
2. Population Composition
3. Population size
4. All of the above

Correct answer: 4. All of the above